A 15-year-old boy feels that the dirt has hung onto him whenever he passes through the dirty street. He knows that there is actually no such thing after he has cleaned once, but he is not satisfied and is compelled to think so. The most likely diagnosis is:
1. OCD
2. Conduct disorder
3. Agoraphobia
4. Adjustment disorder

Correct answer: 1. OCD

Explanation: Ans. OCD